A 35-year-old alcoholic has presented with 2 episodes of hematemesis. On examination his pulse rate is 100/min with BP of 90/60 mm Hg. Per abdomen examination shows spleen palpable 3 cm below costal margin. Which is true about this patient?
1. Elevated CRP and Low C3
2. Most common site of bleeding is First part of duodenum
3. Urgent Elective intubation of patient
4. The increased portal vein pressure should be lowered with octreotide

Correct answer: 4. The increased portal vein pressure should be lowered with octreotide

Explanation: Ans. D The increased pressure of portal vein pressure should be lowered with octreotideRef: CMDT2019 pg. 627* The presence of splenomegaly with hematemesis points to etiology of portal hypertension. Hence after stabilization of patients with fluids, octreotide should be started to lower the pressure in portal vein.* The leading cause of hematemesis is peptic ulcer disease but this patient is having portal hypertension leading to vomiting of blood.